Diagnostic of Rabies aEUR'
1. Guarneri bodies
2. Negri bodies
3. Cowdry A body
4. Bollinger bodies

Correct answer: 2. Negri bodies

Explanation: Negri bodies "Negri bodies are pathognomonic for Rabies". - Negri bodies are eosinophilic cytoplasmic inclusion bodies in brain neurons and are composed of randomly oriented rabies virus, nucleocapsids embedded in an amorphous substance or matrix. These inclusions are seen in:? - Purkinje cells of cerebellum - Pyramidal cells of hippocampus Also know:- In Measles Both nuclear and intracytoplasmic bodies can be seen.